A 50 year old handicraft lady presented with numbness and weakness of the right hand. On examination, there was atrophy of the thenar eminence and and hypoaesthesia in the area. Compression of which of the following nerve could explain the presentation?
1. Ulnar Nerve
2. Radial Nerve
3. Axillary Nerve
4. Median Nerve

Correct answer: 4. Median Nerve

Explanation: Median nerve innervates the thenar muscles and the skin over it. The likely condition is Carpal Tunnel Syndrome.